For differentiating Inguinal hernia and a femoral hernia the landmark will be -
1. Pubic symphysis
2. Femoral artery
3. Inferior epigastric vessel
4. Pubic tubercle

Correct answer: 4. Pubic tubercle

Explanation: The landmark for differentiating b/w femoral hernia and the inguinal hernia is the pubic tubercle.
An inguinal hernia (Indirect): The neck of the sac lies above and medial to the pubic tubercle.
A femoral hernia: The neck of the sac lies below and lateral to the pubic tubercle.
Inferior epigastric vessels are a landmark for differentiating b/w direct & indirect inguinal hernias.

the neck of a direct hernia lies medial to the inferior epigastric vessels, whereas the neck of an indirect hernia lies lateral to it.
Note

MC type of a hernia in males → Indirect inguinal hernia
More common on Rt side
MC type in females → Indirect inguinal hernia (not a femoral hernia)